About ZES true is ?a) MC site is duodenal loopb) It is an exocrine diseasec) It is an endocrine diseased) 50% are malignante) Surgical excision is done
1. acde
2. bde
3. abcd
4. abde

Correct answer: 1. acde